Pregnancy as a result of contraceptive failure can be terminated as per which indication of the MTP act ?
1. To save life of mother
2. Social indication
3. Eugenic indication
4. None of the above

Correct answer: 2. Social indication

Explanation: Ans. is 'b' i.e., Social indication Social indicationsThis is almost the sole indication and is covered under the provision "to prevent grave injury to the physical and mental health of the pregnant woman".In about 80%, it is limited to parous women having unplanned pregnancy with low socioeconomic status.Pregnancy caused by rape or unwanted pregnancy caused due to failure of any contraceptive device also falls in this category (20%).